Scar endometriosis can occur following:
1. Classical cesarean section
2. Hysterotomy
3. Episiotomy
4. All of the above

Correct answer: 4. All of the above

Explanation: Ans. is d, i.e. All of the aboveRef: Jejfcoate 7th/ed, p371Endometriosis sometimes occurs in abdominal wall scars following operations on uterus or tubes and is known as scar endometriosis.Operations most likely to be followed by scar endometriosis:* HysterotomyQ* Classical cesarean sectionQ* MyomectomyQ* VentrofixationQ* Following operations for section of fallopian tubeQ* Following operations for removal of pelvic endometriosisQ* EpisiotomyQ